Most common cause of krukenberg tumor is:
1. Ovarian cancer
2. Stomach cancer
3. Liver cancer
4. Small bowel cancer

Correct answer: 2. Stomach cancer

Explanation: Ans. (b) Stomach cancerRef: Sabiston's Textbook of surgery, 20th edition, Page 1216* Krukenberg tumor is bilateral ovary involvement by transcelomic spread* It is most commonly seen in gastric cancer